Which of the following is not a component of APACHE score
1. Serum potassium
2. Serum calcium
3. Serum sodium
4. Creatinine

Correct answer: 2. Serum calcium

Explanation: Acute Physiology And Chronic Health Evaluation (APACHE) II scoring system It incorporates 12 physiological and laboratory parameters as well as age and comorbid conditions to estimate severity of any disease process The 12 physiologic variables are BT| HR at CWG SHOP - 2 Mean arterial blood pressure Temperature Heart rate. Respiratory rate. Creatinine WBC count Glasgow Coma Scale Sodium Hematocrit Oxygenation Arterial pH Serum potassium Ref: Sabiston 20th edition Pgno :1527